Cause of sudden loss of vision in alcoholic pancreatitis is -
1. Central retinal artery obstruction
2. Acute congestive glaucoma
3. Purstchner retinopathy
4. Sudden alcohol withdrawl

Correct answer: 3. Purstchner retinopathy